Embryonic hemoglobins among the following are
1. Fetal hemoglobin and Gower hemoglobin
2. Fetal hemoglobin and Portland hemoglobin
3. Portland hemoglobin and HbA2
4. Gower hemoglobin and Portland hemoglobin

Correct answer: 4. Gower hemoglobin and Portland hemoglobin

Explanation: Embryonic hemoglobins are Gower hemoglobin and Portland hemoglobin.